Obesity is BMI greater than:-
1. 25
2. 30
3. 35
4. 40

Correct answer: 2. 30

Explanation: QUETELETS INDEX = WEIGHT / HIGHT 2 BMI for Global population:- Underweight - <18.5 Normal BMI - 18.5-24.99 Overweight - 25-29.99 Obesity - >= 30.0